All the following diseases are associated with peripheral blood eosinophilia except :
1. Allergic bronchopulmonary aspergillosis (ABPA)
2. Loffler's syndrome.
3. Pulmonary eosinophilic granuloma
4. Chrug-Strauss syndrome

Correct answer: 3. Pulmonary eosinophilic granuloma

Explanation: Answer is C (Pulmonary eosinophilic granuloma) : All options mentioned in the question other than pulmonary eosinophilic granuloma are classified under this group of disorders termed 'pulmonary infiltrates with eosinophilia'. Pulmonary infiltrates with eosinophilia: (PIE, eosinophilic pneumonias). Constituted by distinct individual syndromes characterized by eosinophilic pulmonary infiltrates and peripheral blood eosinophilia.